A child can make a 3 cube tower at the age of
1. 36 months
2. 15 months
3. 20 months
4. 24 months

Correct answer: 2. 15 months

Explanation: At 15 monthsMotor: Walks alone; crawls upstairs.Adaptive: Makes the tower of 3 cubes; makes a line with crayon; inserts raisin in the bottle.Language; Jargon; follows simple commands; may name a familiar object (e.g. ball).Social: Indicates some desires or needs by pointing; hugs parents.